III nerve palsy causes all of the following except:
1. Ptosis
2. Mydriasis
3. Medial deviation of eyeball
4. Pupillary reflex lost

Correct answer: 3. Medial deviation of eyeball

Explanation: C i.e. Medial deviation of eyeball Isolated, pupil- sparing occulomotor palsy mostly result from microvascular infarction of nerve. Diabetes, hypertension and vascular disease are major risk factorsQ. Usually the patients complain of pain. Spontaneous recovery over a period of month is the rule. Miswiring or abbe rant regeneration is not seen after occulomotor palsy from microvascular infarct and hence vitiates that diagnosis. Abberant regeneration is common in injuries by trauma or compression (tumor, aneurysm). 3rd nerve / Occulomotor Nerve Palsy Muscles involved Clinical features Except superior oblique (504) & lateral rectus (LR6) all other muscles i.e. superior, inferior & medial rectus, inferior oblique & levator palpebrae superioris are paralysed Q - Down & out eye Q (due to unopposed S.O. & L.R.) - Medial & upward gaze is not possible Q - Ptosis Q (due to LPS paralysis) - Dilation of pupil Q - Loss of accommodation Q - Loss of pupillary/light reflex Q